Absolute indication for choledochotomy :
1. Gallstone ileus
2. Gallstone pancreatitis
3. Fever
4. Palpable CBD stone

Correct answer: 4. Palpable CBD stone

Explanation: Ans. is 'd' i.e. Palpable CBD stone During open cholecystectomy there are certain traditional indications for choledochotomy. These are: Absolute indications (high suspicion of CBD calculi) a) palpable CBD stone b) jaundice with cholangitis c) demonstration of stones by intraoperative cholangiography d) dilatation of CBD > 12 mm Relative indications (low suspicion of CBD calculi) a) jaundice without cholangitis b) h/o pancreatitis c) dilated CBD d) when on aspiration bile is white e) a dilated cystic duct In laparoscopic cholecystectomy, the only indication of laproscopic choledochotomy is when transcystic duct exploration is not possible.